Forty eight hours after sustaining a blunt abdominal injury, a 15 year old boy presents with hematuria and pain in the left side of abdomen. On examination, he has a pulse rate of 96/ minute with a BP of 110/70 mmHg. His Hb is 10-8 gm% with a PCV of 31%. Abdominal examination revealed tenderness in left lumbar region but no palpable mass. The most appropriate investigation to diagnose and find the extent of renal injury would be-
1. Sonographic evaluation of abdomen
2. Intravenous pyelography
3. Contrast enhanced computed tomography
4. MR urography

Correct answer: 3. Contrast enhanced computed tomography

Explanation: Ans. is 'c' i.e., Contrast enhanced computed tomography "Abdominal computed tomography (CT) with contrast media is the best imaging study to detect and stage renal and retroperitoneal injuries. It can define the size and extent of the retroperitoneal hematoma, renal lacerations, urinary extravasation, and renal arterial and venous injuries; additionally, it can detect intra-abdominal injuries (liver, spleen, pancreas, bowel)."- Smith's Urology